ECT is most useful in -
1. Mania
2. Depression
3. OCD
4. Schizophrenia

Correct answer: 2. Depression